Normal therapeutic level of Lithium is :
1. 0.5 to 0.7 mEq/lit
2. 0.7 to 1.1 mEq/lit
3. 0.1 to 0.3 mEq/lit
4. 1.5 to 2 mEq/lit

Correct answer: 2. 0.7 to 1.1 mEq/lit

Explanation: Ans: B (0.7 - 1.1 mEq/L) LithiumShort ReviewThe peak serum levels occur between 30 minutes to 3 hours. The absorption is virtually complete in about 8 hours.Lithium is not protein bound : There is no metabolism of, litium in body. It is excreted almost entirely by kidneys.Tremor: This is the commonest side effect*, occurring in up to 50% of patientsThe most serious (though uncommon! side-effects are hepatic toxicity (especially in children), acute hemorrhagic pancreatitis, and Steven Johnson syndrome.The exact mechanism of action is not known.Before starting treatment, it is essential to make sure of normal functioning of kidneys (most important), thyroid, heart and central nervous system.The side-effects are common and toxicity occurs easily; if blood level reach about 2.0 mEq/L. Lite-tberatening intoxication occurs, if levels reach about 3.5 mEq/L.Therapeutic Levels - 0.8-12 mEq/LProphylactic Levels = 0.6-1.2 mE/qToxic Lithium Level/1 >2.0 mEq/L Lithium (Li) || | | Drug of choiceSide effects Serum concentration || | 1. Acute manic episode2. Prophylasix of MDP - Most affected organ is Kidney > thyroid- Least affected organ is liver- Most common side effect is tremors- Li is contraindicated in sick sinus syndrome - Maintenance &. therapy= 0.6- 1.2 meq/L- Acute episode of mania= 0.8 - 1.2 meq/L- Toxicity = >1.5 meq/L || | | Secreated in breast milk Reduces thyroxine synthesis Leucoyte count is increased Inhibits ADH action on distal tube | | | | So C/I in pregnancy Leads to goiter & hypothyroidism Leucoyte count is increased Inhibits ADH action on distal tube | | used in t/t of chemotherapy induced leucopenia & agranulocytosis used in SIADH